Gottrons sign is seen in?
1. Lupus erythematosus
2. Dermatomyositis
3. Scleroderma
4. Bells palsy

Correct answer: 2. Dermatomyositis